Ototoxicity and nephrotoxicity may be the side effect of:
1. Vancomycin
2. Azithromycin
3. Clindamycin
4. Penicillin

Correct answer: 1. Vancomycin

Explanation: Ans: A i.e. Vancomycin Drugs and side-effects Vancomycin can cause plasma concentration dependent nerve deafness which may be permanent. Kidney damage is also dose related. Side-effects of azithromycin are mild gastric upset, abdominal pain (less than erythromycin), headache and dizziness Side effects of clindamycin are rashes, urticaria, abdominal pain, but the major problem is diarrhoea and pseudomembranous colitis due to Cl. Difficile superinfection which is potentially fatal. Adverse effects of penicillin include local irritancy and direct toxicity, hypersensitivity, superinfections and JarischHerxheimer reaction (in syphilitic patient)